Meckel's cartilage develops from
1. I branchial arch
2. II branchial arch
3. III branchial arch
4. IV branchial arch

Correct answer: 1. I branchial arch

Explanation: The cartilage of the first arch is called Meckel's cartilage. the incus and malleus are derived from its dorsal end. the ventral part of the mandible is surrounded by the developing mandible and is absorbed Ref: Human Embryology, Inderbir Singh, 10th edition, page no: 131